Random is Randomization Implies
1. Unequal and known chances
2. Equal and known chances
3. Unequal and unknown chances
4. Equal and unknown chances

Correct answer: 2. Equal and known chances